A 78 year old man who lives alone and prepares his own food is found to have ecchymotic patches over posterior aspect of his lower extremities. He has haemorrhagic areas around hair follicles, hair are fragmented and splinter haemorrhages are present in nail beds and several hematomas are present in the muscles of arms and legs. PT and CT are normal. This clinical syndrome is most likely due to
1. Vitamin K deficiency
2. Vitamin C deficiency
3. Pyridoxine deficiency
4. Vitamin A deficiency

Correct answer: 2. Vitamin C deficiency